Gamma irradiation used for all of the following except-
1. Syringes
2. Catgut suture
3. Grafts
4. Endoscope

Correct answer: 4. Endoscope

Explanation: Ans. is 'd' i.e., EndoscopeRadiationNonionizingIonizingGamma raysHeat-labile instrumentsInfraredU. V. radiationplastics, syringes, swabs greases, surgical catgut, bone & tissue graft.# Prepacked items such as syringes & catheters# Enter ways#Operation Theaters#Laboratories